In neonate which is the indication for chest compressions?
1. Irregular breathing with heart Rate 80 after 30 seconds
2. Regular breathing with heart rate 80 after 30 seconds
3. AMBU Bag ventilation for 30 seconds with heart rate of 50
4. Regular breathing with Cyanosis

Correct answer: 3. AMBU Bag ventilation for 30 seconds with heart rate of 50

Explanation: Ans. (c) AMBU Bag Ventilation for 30 seconds with heart rate of 50Ref.: Nelson 18th ed., Chapter 100,* If the heart rate does not improve after 30 sec with bag and mask (or endotracheal) ventilation and remains below 100/min, ventilation is continued and chest compression should be initiated over the lower third of the sternum at a rate of 120/min. The ratio of compressions to ventilation is 3:1.* If the heart rate remains <60 despite effective compressions and ventilation, administration of epinephrine should be considered.* AAP guidelines are given below.